hich of the following is not true about Neisseria gonorrhoea -
1. It is an exclusive human pathogen
2. Some strains may cause disseminated disease
3. Acute urethritis is the most common manifestation in males
4. All strains are highly sensitive to penicillin

Correct answer: 4. All strains are highly sensitive to penicillin

Explanation: Ans. is. 'd'i.e., All the strains are highly sensitive to penicillin . Penicillin is ineffective in treatment of gonorrhoea as most of the strains are resistant to penicillin because penicillnase producing N. gonorrhoeae (PPNG) have spread widely. . Ceftriaxone is the drug of choice for gonococcal infections. . All other options have been explained earlier.